In which system, continuous enumeration of births and deaths by enumerator and an independent survey by investigator supervisor is done ?
1. Decadal Census Enumeration
2. Sample Registration System
3. Model Registration System
4. National Family Health Survey

Correct answer: 2. Sample Registration System